Normal value of arterial HC03' in gas exchange is
1. 40-45 meql/L
2. 20-24 meql/L
3. 10-15 meql/L
4. 5-10 meql/L

Correct answer: 2. 20-24 meql/L

Explanation: (B) 20-24 meql/L GAS EXCHANGE (SEA LEVEL)Arterial 02 tensionPao212.7 +-0.7 kPa (95+-5mmHg)Arterial C02 tensionPaco25.3 +-0.3 kPa (40 +- 2 mmHg)Arterial 02 saturationSao20.97 +-0.02 (97 +-2%)Arterial blood pHpH7.40 +- 0.02Arterial bicarbonateHCO3-24 + 2meqfLBase excessBE0 +- 2meqfLDiffusing capacity for carbon monoxide (single breath)DLco0.42 mLCO/s per mmHg (25 mL CO/ min per mmHg)Dead space volumeVD2 mUkg body wtPhysiologic dead space: dead space-tidal volume ratioVD/VT Rest <35% VTExercise <20% VTAlveolar-arterial difference for O2P(A-a)o2<2.7 kPa S20 kPa (<20 mmHg)